The oxidation of Galactose with strong oxidizing agent produces:
1. Mucic Acid
2. Gluconic Acid
3. Galacturonic acid
4. Saccharic Acid

Correct answer: 1. Mucic Acid

Explanation: Option a : Oxidation of galactose with strong oxidizing agent produces mucic Acid In the presence of strong oxidizing agent, both first and last carbon of sugar is oxidized to produce Saccharic Acid. If Aldehyde group (C1) is oxidized, then Aldonic Acid is produced. If last carbon (C6) is oxidized, then Uronic Acid is produced Glucose to Glucosaccharic acid Glucose to Gluconic Acid Glucose to Glucuronic Acid Mannose to Mannaric acid Mannose to Mannonic Acid Mannose to Mannuronic Acid Galactose to Mucic Acid (forms insoluble crystals) Galactose to Galactonic Acid Galactose to Galacturonic Acid In mild oxidation, either C1 is oxidized or C6 is oxidized.